All the following findings would be expected in a person with coarctation of the aorta ciccpt :
1. A systolic murmur across the anterior chest and back and a high-pitched diastolic murmur along the left sternal border
2. B. A higher blood pressure in the right arm than in the left arm
3. Inability to augment cardiac output with exercise
4. Persistent hypertension despite complete surgical repair

Correct answer: 3. Inability to augment cardiac output with exercise

Explanation: Answer is C (Inability to augment cardiac output with exercise) In coarctation of aorta unless the hypertension is very severe or left ventricular failure has ensued, cardiac output responds normally to exercise. Usually a systolic ejection murmur is heard anteriorly and over the back. If the obstruction is very severe a continuous murmur would be heard. Coarctation of aorta is commonly accompanied by a bicuspid aortic valve, which can produce the diastolic murmur of aortic regurgitation. Coarctation of the Aorta usually occurs just distal to the origin of the left subclavian artery. If it arises above the left subclavian, Arterial blood pressure elevation may be evident only in the right arm. In coarctation of aorta unless the hypertension is very severe or left ventricular failure has ensued, cardiac output responds normally to exercise. Hypertension is the major clinical problem and may persist even after complete surgical correction.